The cyclic AMP is inactivated by the action of which specific enzyme?
1. Phosphodiesterase
2. Phosphate
3. Protein kinase
4. Adenyl cyclase

Correct answer: 1. Phosphodiesterase

Explanation: cAMP undergoes rapid hydrolysis catalysed by the enzyme phosphodiesterase, to 5'AMP which is inactive. Caffeine and theophylline can inhibit phosphodiesterase and increase the intracellular levels of cAMP.